Toxicity of Amphotericin B can be reduced by using?
1. Liquid preparation
2. Granules
3. Liposomal preparation
4. Subcutareous administration

Correct answer: 3. Liposomal preparation

Explanation: Ans. is 'c' i.e., Liposomal preparation o Liposomal amphotericin has some advantages in terms of reduced toxicity (especially nephrotoxicity) compared with conventional preparation. o However, it is very expensive and prescription requires careful individual patient assessment.